Transient myleoproliferative disorder of the newborn is seen in association with
1. Turnur's syndrome
2. Down's syndrome
3. Neurofibromatosis
4. Ataxia telangiectasia

Correct answer: 2. Down's syndrome

Explanation: Approximately 10% of children with Down syndrome develop a preleukemic clone,transient myeloproliferative disorder,with somatic mutations in hematopoietic transcription factor GATA1.These children have a high leukocyte count,circulating blasts in peripheral blood,hepatosplenomegaly,effusions,anemia and thrombocytopenia in the neonatal period,which resolves by 3 months.About 20% of children with transient myeloproliferative disorder develop AML. Reference:Essential pediatrics-Ghai,8th edition,page no:605.